Morphine can be given by all the following routes except:
1. Intravenous
2. Intramuscular
3. Subcutaneous
4. Sublingual

Correct answer: 4. Sublingual